ELISA test has sensitivity of 95% and specificity of 95%. Prevalence of HIV carries is 5%. The predictive value of positive test is-
1. 95%
2. 50%
3. 100%
4. 75%

Correct answer: 2. 50%

Explanation: Ref:Parks 23rd edition pg 139 Construct a 2x2 table using the above data. 4.75 4.75 0.25 9.25 PPV = TP / (TP + FP) = 4.75/(4.75+4.75)=0.5